An old patient Ram Kishore having asthma and glaucoma is to receive a b blocker. Regarding b blocking drugs:
1. Metoprolol blocks b2 receptors selectively
2. Esmolol's pharmacokinetics are compatible with chronic topical use
3. Nadolol lacks b2 blocking action
4. Timolol lacks the local anaesthetic effects of propanolol

Correct answer: 4. Timolol lacks the local anaesthetic effects of propanolol

Explanation: Metoprolol is a cardioselective (b1 selective) blocker and not b2 selective. Esmolol is the shortest acting b -blocker and is useful for acute treatment. Nadolol is a non-selective b-blocker. It blocks both b1 as well as b2 receptors. Propanolol possesses maximum local anaesthetic activity whereas timolol lacks this property.